The MTP Act was introduced in -
1. 1961
2. 1971
3. 1974
4. 1975

Correct answer: 2. 1971

Explanation: Ref:Textbook of forensic medicine and toxicology (V.V.Pillay) 17th edition, page no.367 The MTP Act of 1971 was passed to liberalise abortions in india , on the basis of clearly specified guidelines. This liberalization was decided upon with idea of saving the lives of millions of women, who would other wise resort to criminal abortion out of desperation, thereby succumbing to its complications. As per this Act, pregnancy can be terminated on the following: Therapeutic Eugenic Humanitarian Social